Average age of menopause is:
1. 45 years
2. 47 years
3. 49 years
4. 51 years

Correct answer: 4. 51 years

Explanation: Ans. is d, i.e. 51 yearsRef: Williams Gynae 3rd/ed, p471"The average age of women experiencing their final menstrual period (FMP) is 57.5 years, but a halt to menses from ovarian failure may occur at any age."